A 28-year-old sexually active male presents with burning micturition. On clinical examination, there is no ulcer in the genitals. Urine examination shows 50 WBCs/HPF, no RBCs, leucocyte esterase positive, gonococcal culture negative. What could be the most probable causative organism
1. Treponema pallidum
2. Neisseria
3. Chlamydia trachomatis
4. Hemophilus ducreyi

Correct answer: 3. Chlamydia trachomatis

Explanation: commonly known as chlamydia,is a bacterium that causes chlamydia, which can manifest in various ways, including: trachoma, lymphogranuloma venereum, nongonococcal urethritis, cervicitis, salpingitis, pelvic inflammatory disease. C. trachomatis is the most common infectious cause of blindness and the most common sexually transmitted bacterium.